Which of the following follow transport maximum
1. Na+
2. Glucose
3. K+
4. Urea

Correct answer: 2. Glucose

Explanation: i.e. (Glucose) : (331-Guyton 11th) (534-35-AK-Jain 4th)The overall transport maximum for the kidney, which is normally about 375 mg/min is reached when all nephrons have reached their maximal capacity to reabsorb glucoseTransport maximum for substances that are actively ReabsorbedSubstancesTransport MaximumGlucose375 mg/minPhosphate0.10 mM/minSulphate0.06 mM/minAminoacids1.5 mM/minUrate (Uricacid)15 mg/minLactate75 mg/minPlasma protein30 mg/minTransport maximums for substances that are actively secretedSubstancesTransport maximumCreatininePara-aminohippuric acids16 mg/min80 mg/min(i) The reabsorption of Na+ along with nephron has no transport maximum(ii) The secretion of K+ by the DCT has no transport maximumAlso remembers(i) Sodium dependant glucose transport are inhibited by PHLORHIZINE(ii) Quabain - Digitalis like steroid, that come from adrenal glands produces natriuresis by inhibiting Na+ K+ ATPase & raises rather the lower blood pressure (462-Ganong 22nd)(iii) Sodium azide - It inhibit terminal transfer of electrons to molecular 02 in electron transport chain